Diabetes mellitus is associated with:
1. Hard exudates
2. Neovascularisation
3. Glaucoma
4. All

Correct answer: 4. All

Explanation: A. i.e. Hard exudates B. i.e. Neovascularization C. i.e. Glaucoma